Necrotizing lymphadenitis is seen in
1. Kimura disease
2. Kikuchis fujimoto disease
3. Hodgkin's lymphoma
4. Castelman disease

Correct answer: 2. Kikuchis fujimoto disease

Explanation: Ref Harrison 17/e p1011 The other name for kikuchis fujimoto disease is histocytic nercrotizing lymphadenitis. Benign and self-centered disorder in young individuals characterised by cervical lymphadenopathy With tenderness .usually accompanied with mild fever and night sweats,may b viral on ethilogy